In cholangitis, the organism mostly responsible is
1. E.coli
2. Streptococcus
3. E.histolytica
4. Clostridium

Correct answer: 1. E.coli

Explanation: Ascending bacterial infection of the biliary ductal system with obstruction Most common cause is choledocholithiasis Most common organisms present in the bile in patients with cholangitis : E.coli (MC). Klebsiella pneumoniae, streptococcus faecalis & Bacteroides fragilis Ref: Sabiston 20th edition Pgno :1507